Sun flower cataract is seen in -
1. Galactosemia
2. Injuries
3. Laurence Moon Biedel syndrome
4. Wilson's disease

Correct answer: 4. Wilson's disease

Explanation: Ans. is 'd' i.e., Wilson's disease o Sunflower cataract is seen in Wilson's disease, chalcosis (copper deposition), penetrating trauma with retention of copper or its alloy.o Sunflower cataract is seen in Wilson's disease, chalcosis (copper deposition), penetrating trauma with retention of copper or its alloy.DiseaseType of cataracto Myotonic dystrophyChristmas tree cataract, Blue dot cortical cataract, posterior subcapsular cataract.o Wilson's diseaseo Copper deposition (Chalcosis)o Penetrating traumaSunflower cataract (Petals of flower cataract)o Diabetes mellitusSnowflake cataract or Snowstrom cataracto Down's syndromeSnowflake cataracto Hypoparathyroidism (Hypocalcemia) Hypovitaminosis DDiscrete white cortical opacities, Congenital lamellar (zonular) cataracto Atopic dermatitisBlue dot cortical cataract, posterior subcapsular cataracto Congenital rubellaNuclear cataract, Total congenital cataracto GalactosemiaOil drop cataract, Dust like lenticular opacitieso Complicated cataract (Iridocyclitis, High myopia)Posterior cortical breads's crumb appearance. Polychromatic lusture.Rainbow cataracto Blunt traumaVossius ring on anterior surface of lens. Rosette shaped cataract